Not a predisposing factor for Ca esophagus:
1. Diverticula
2. Human papilloma virus
3. Mediastinal fibrosis
4. Caustic ingestion

Correct answer: 3. Mediastinal fibrosis